Characteristic feature of borderline leprosy
1. Inverted saucer lesion
2. ENL
3. Hypopigmented macule & plaques all over body
4. Glove & stocking anesthesia

Correct answer: 1. Inverted saucer lesion

Explanation: A i.e. Inverted saucer lesion